The most common fixative used in pathology is?
1. Gluteraldehyde
2. Alcohol
3. Formaldehyde
4. Picric acid

Correct answer: 3. Formaldehyde

Explanation: The most commonly used fixative in histology is formaldehyde. It is usually used as a 10% neutral buffered formalin (NBF), that is approx HARSH MOHAN Text book of pathology 6th edition pg no 10